The main enzyme responsible for activation of xenobiotics is
1. Cytochrome P - 450
2. Glutathione S - transferase
3. NADPH cytochrome P - 450 reductase
4. Glucoronyl transferase

Correct answer: 1. Cytochrome P - 450

Explanation: Cytochrome P450 (CYP) enzymes in extrahepatic tissues often play a dominant role in target tissue metabolic activation of xenobiotic compounds. They may also determine drug efficacy and influence the tissue burden of foreign chemicals or bioavailability of therapeutic agents.